Hormone released during increased stress is:
1. Cortisol
2. Thyroxine
3. Growth hormone
4. Somatostatin

Correct answer: 1. Cortisol